Trichomoniasis is transmitted through which stage
1. Cyst
2. Oocyst
3. Sporozoite
4. Trophozoite

Correct answer: 4. Trophozoite

Explanation: Trichomonas vaginalis exists only as a trophozoite; no cyst stage has been identified.